All are risk factors for vaginal candidiasis except:
1. HIV
2. Hypertension
3. Pregnancy
4. Diabetes mellitus

Correct answer: 2. Hypertension

Explanation: Ans. is b, i.e. HypertensionRef: Shaw 15th/ed, p146Risk factors for Candidal (Monilla) Vaginitis* Promiscuity* Immunosuppression (like HIV)* Pregnancy* Steroid therapy* Following long-term broad spectrum antibiotic therapy* Oral contraception pills* Diabetes mellitus* Poor personal hygiene* Obesity